Which of the following nerve is damaged in Frey's syndrome?
1. Facial Nerve
2. Mandibular nerve
3. Auriculotemporal nerve
4. Trigeminal nerve

Correct answer: 3. Auriculotemporal nerve

Explanation: Ans. (c) Auriculotemporal nerveRef Surgery Sixer 3rd Edition Page 191* Injury of Post Ganglionic Parasympathetic nerve fibres (Auriculotemporal Nerve) causes Frey's syndrome